In a syphilis patient, site which does not help in isolation of organism:-
1. Gumma
2. Primary chancre
3. Mucosal patch
4. Maculopapular rash

Correct answer: 1. Gumma

Explanation: T. pallidum is very difficult to demonstrate in Gumma (Tertiary syphilis). Infectivity of a patient to the sexual partner is maximum during primary, secondary and early latent stage. During these stages spirochetes are abundant in the lesions.